Tetrabenazine acts by inhibiting
1. MAO-B
2. Vesicular monoamine transporter
3. Dopamine D2 receptors
4. COMT

Correct answer: 2. Vesicular monoamine transporter

Explanation: Tetrabenazine: Inhibit VMAT 2(vesicular monoamine transporter), which transport dopamine and norepinephrine into adrenergic vesicle in nerve ending. Use for treatment of chorea in Huntington and tardive dyskinesia. In above figure: Pharmacologic strategies for dopaminergic therapy of Parkinson's disease. Drugs and their effects are indicated (see text). MAO, monoamine oxidase; COMT, catechol-O-methyltransferase; DOPAC, dihydroxyphenylacetic acid; L-DOPA, levodopa; 3-OMD, 3-O-methydopa; 3-MT, 3-methoxytramine.